Pleomorphic bacteria is:
1. Changing shape with time
2. Rod shaped structure
3. Dumble shape
4. Bacteria in clusters

Correct answer: 1. Changing shape with time

Explanation: Pleomorphic bacteria: Pleomorphic bacteria (e.g., Yersinia pestis) may show considerable variation in size and shape called pleomorphism.
Parija SC. Textbook of Microbiology & Immunology. Elsevier Health Sciences; 2014. Page:17